Decompression sickness is seen in all except
1. Diver
2. Pilot
3. Diver and pilot
4. Mountaineer

Correct answer: 4. Mountaineer